Features of hypospadias are all except
1. Chordee
2. Hooded prepuce
3. No t/t required with glandular variety
4. Cryptorchidism

Correct answer: 4. Cryptorchidism

Explanation: Hypospadias is an association of 3 anatomic and developmental anomalies of penis. An abnormal ventral opening of the urethral meatus An abnormal Ventral curvature of the penis (chordee) A abnormal distribution of foreskin with a 'hood' present dorsally and deficient foreskin ventrally (hooded prepuce) Remember that Cryptorchidism is not a feature of hypospadias. But it may be seen associated with hypospadias in 8-9% of cases